Drug of choice in treatment of partial complex seizures
1. Carbamazepine
2. Sodium valproate
3. Ethosuximide
4. Phenytoin

Correct answer: 1. Carbamazepine

Explanation: Ans. a (Carbamazepine). (Ref. Harrison, Internal Medicine, 16th ed., 1848)Type of seizurePrimary generalized tonic clonic seizurePartial complex seizuresAbsence seizureAtypical absence;Myoclonic; Atonic* First line treatmentValproic acidCarbamazepineEthosuximideValproic acidPhenytoin Valproic acid Valproic acid Lamotrigine * Valproate is broad spectrum anti-epileptic.